Which of the following does not correlate with severity of acute pancreatitis:
1. Serum Glucose
2. Serum amylase
3. Serum calcium
4. AST

Correct answer: 2. Serum amylase

Explanation: There is no significant correlation between the magnitude of serum amylase elevation and severity of pancreatitis"-Schwartz The pancreatic acinar cells synthesize, store, and secrete a large number of digestive enzymes (e.g., amylase, lipase, trypsinogen, and elastase). The levels of these enzymes are elevated in the serum of most pancreatitis patients. Because of the ease of measurement, serum amylase levels are measured most often. Serum amylase concentration increases almost immediately with the onset of disease and peaks within several hours. There is no significant correlation between the magnitude of serum amylase elevation and severity of pancreatitis; in fact, a milder form of acute pancreatitis is often associated with higher levels of serum amylase as compared with that in a more severe form of the disease. Ref : Schwartz 9/e p1181